Development of Lymphoma in Sjogren's syndrome is suggested by all of the following except
1. Persistent parotid gland enlargement
2. Cyoglobilinemia
3. Leukopenia
4. High C4 compement levels

Correct answer: 4. High C4 compement levels

Explanation: Ans. is 'd' i.e., High C4 complement levels Lymphoa is a well-known complication of Sjogren's syndrome Most lymphomas are extra-nodal, low grade marginal B cell lymphomas. Development of Lymphoma in Sjogren's syndrome is suggested by low C4 complement levels. Lymphoma in Sjogren's syndrome The development ofLymphomas in patients with Sjogren syndrome is suggested by : - Persistent parotid gland enlargement Purpura Leukopenia Cryoglobulinemia Low C4 complement levels